Artery not supplying Kisselbacks plexus is-
1. Anterior ethmoidal artery
2. Greater Palatine artery
3. Sphenopalatine artery
4. Ascending pharyngeal artery

Correct answer: 4. Ascending pharyngeal artery

Explanation: Ans. is 'd' i.e., Ascending pharyngeal artery * Kiesselbach's plexus, which lies in KiesselbaclTs area or Little's area, is a region in the anteroinferior part of the nasal septum where four arteries anastomose to form a vascular plexus. The arteries arei) Anterior ethmoidal artery (branch of the ophthalmic artery)ii) Sphenopalatine artery (terminal branch of the maxillary artery)iii) Greater palatine artery (from the maxillary artery)iv) Septal branch of the superior labial artery (from the facial artery)